Most potent form of cannabis:
1. Bhang
2. Charas(HASHISH)
3. Ganja
4. NONE OF THESE

Correct answer: 2. Charas(HASHISH)

Explanation: Ans. CHARAS(HASHISH) MOST POTENT 10-20% (most potent)3